YAG laser is used in
1. Retinal detachment
2. diabetes
3. Refractive errors
4. After cataract

Correct answer: 4. After cataract

Explanation: Posterior capsular opacity/after cataract treated by ND-YAG capsulotomy A Yag capsulotomy is a special laser treatment used to improve your vision after cataract surgery. It is a simple, commonly performed procedure which is very safe. During your cataract operation, the natural lens inside your eye that had become cloudy was removed. Yag laser capsulotomy is the only way to treat this. Reference: khurana 6th edition pg 233